Peroneus brevis is inserted into
1. Base of I metatarsal
2. Base of V metatarsal
3. Base of proximal phalanx of big toe
4. Lateral cuneiform bone

Correct answer: 2. Base of V metatarsal

Explanation: Peroneus brevis is at the lateral side, whereas, peroneus ter us (anterior leg muscle) inserts on the dorsum of base of 5th metatarsal